Chiclero's ulcer caused by:-
1. Leishmania Mexicana
2. Lesihmania braziliense
3. Leishmania aethiopica
4. Leishmania donovani

Correct answer: 1. Leishmania Mexicana

Explanation: Chiclero ulcer ( gum tree harvestor's ulcer) seen in leishmania Mexicana (New world) Leishmania C/B Cutaneous Mucocutaneous Visceral New world- L. Maxicana- chiclero ulcers (Gum tree harvestor's ulcer) Old world- L. Major- Delhi boils ulcers with central crusting Skin mucosa involved mutilation present: ESPUNDIA L. Donovani (PKDL) - Nodule (face) Hypopigmented (trunk) Past H/o fever Nerve thickening absent Endemic -Bihar